Gas gangrene is due to -a) Alpha toxinb) Theta toxinc) Beta toxind) Delta toxine) Epsilon toxin
1. ac
2. ab
3. ad
4. bc

Correct answer: 2. ab